Example for radiation induced cancer is:
1. Papillary carcinoma thyroid
2. Follicular carcinoma thyroid
3. Lymphoma
4. Hepatoma

Correct answer: 1. Papillary carcinoma thyroid

Explanation: Ans: a (Papillary carcinoma thyroid)Ref: Robbin's Patho, 7thed, p. 1178 & 6thed, p. 1142; Harrison, 15,hed, p. 2590, T 394-5 Bailey & Love's, 24th ed, p. 797